What is the total iron requirement during pregnancy ?
1. 500 mg
2. 750 mg
3. 1000 mg
4. 1500 mg

Correct answer: 3. 1000 mg

Explanation: Total iron requirement during pregnancy is 1000 mg, this requirement is mostly limited to last 12 weeks. In second half of pregnancy daily requirement of iron is around 6-7 mg